Cranial nerve not carrying parasympathetic fibers
1. Fourth
2. Seventh
3. Third
4. Ninth

Correct answer: 1. Fourth

Explanation: Ans. is 'a' i.e. Fourth Four cranial nerves CN III, CN VII, CNIX & CN X carry presynaptic parasympathetic (visceral motor) axons as they emerge from brain stem.Parasympathetic fibres carrying cranial nervesAssociated GanglionOcculomotor (III)Ciliary ganglionFacial (VII)Pterygopalatine & Submandibular ganglionGlossopharyngeal (IX)Otic ganglionVagus (X)Visceral ganglionsAlso know:Pure motorPure sensory (unique/special sensation carrying)MixedOcculomtor (III)Trochlear (IV)Abducent (VI)Spinal accessory (XI)Hypoglossal (XII)Olfactory (I)Optic (II)Vestibulocochlear VIII)Trigeminal (V)Facial (VII)Glossopharyngeal (IX)Vagus (X)Olfactory nerve (CNI) is the only sensory cranial nerve that projects directly to the cerebral cortexOptic nerve terminates in the thalamus while the other ten pairs of C.N. are attached to brain stem.Except the vagus N., all the cranial nerves are confined to head & neck.Trochlear N. is the only cranial nerve to emerge from the dorsal surface of the brain stem.Trochlear N. is the smallest cranial nerve in terms of axons it contains. It supplies only one muscle - the superior oblique.Trochlear N. has the longest intracranial course.